A newborn baby is readmitted to the hospital with hypoxia and upon testing is found to have pulmonary stenosis, dextraposition of the aorta, interventricular septal defect, and hypertrophy of the right ventricle. Which of the following is best described by these symptoms?
1. ASD
2. Patent ductus arteriosus
3. Tetralogy of Fallot
4. Aortic stenosis

Correct answer: 3. Tetralogy of Fallot

Explanation: Tetralogy of Fallot is a combination of congenital cardiac defects consisting of- (a) pulmonary stenosis, (b) dextraposition of the aorta (so that it overrides the ventricular septum and receives blood from the right ventricle), (c) ventricular septal defect (VSD), (d) right ventricular hypertrophy.